Intra abdominal pressure maintained during laparoscopy is
1. 5-10 mm Hg
2. 12-15 mm Hg
3. 15-20 mm Hg
4. 20-25 mm Hg

Correct answer: 2. 12-15 mm Hg

Explanation: Ans. (b) 12-15 mm Hg(Ref: Textbook of Laparoscopic surgery by R K Mishra, 3rd ed p-74-78)* Intra abdominal operation is maintained between 12-15mm of hg for avoiding any hemodynamic derangements during laparoscopy.